Most common benign tumours during infancy is-
1. Lymphangioma
2. Hemangioma
3. Cystic hygroma
4. Lipoma

Correct answer: 2. Hemangioma

Explanation: Ans. is 'b' i.e., Hemangioma o Hemangiomas, the most common benign tumors of infancy, occur in 10% of term infants.